In acute fluoride toxicity we use:
1. Vinegar
2. Milk
3. Water
4. NaHCO3

Correct answer: 2. Milk